In tracheostomy, the entry into the trachea is through the:
1. Cricoid cartilage
2. First tracheal ring
3. Second and third tracheal ring
4. Fourth and fifth tracheal ring

Correct answer: 3. Second and third tracheal ring